All digestive enzymes are
1. Ligases
2. Transferases
3. Hydrolases
4. Lyases

Correct answer: 3. Hydrolases

Explanation: Hydrolases are any class of enzymes which catalyze the hydrolysis of proteins, nucleic acids, starch, fats, phosphate esters, and other macromolecular substances. The hydrolysis is carried out through the addition of water. Digestive enzymes carry out their function in this way, hence they are called hydrolase.